A patient complains of pain in tooth on taking hot food, the pain subsides on taking cold. Diagnosis is:
1. Reversible pulpitis
2. Internal resorption
3. Partial pulp necrosis
4. Traumatic injury

Correct answer: 3. Partial pulp necrosis

Explanation: Typically, a tooth that responds to heat application to cause pain while the pain is resolved by cold indicates partial pulp necrosis.